While doing excision of cervical lymph nodes, inadvertent injury to which nerve causes drooping of shoulder
1. Supraclavicular nerve
2. Suprascapular nerve
3. Spinal accessory nerve
4. Nerve to serratus anterior

Correct answer: 3. Spinal accessory nerve

Explanation: If Cervical lymph node excision is done (may be in posterior triangle of Neck), Most common iatrogenically damaged nerve which is most superficial is spinal accessory Nerve Spinal accessory Nerve is coming from cranial cavity, passing through jugular foramen & supplies : Sternocleidomastoid - contracts while turning head to one side & Trapezius muscle - Causes elevation of the shoulder Damage to this nerve leads to paralysis of trapezius muscle & there would be drooping of shoulder (Difficulty in shrugging the shoulder & overhead abduction)